Which of the following drug doesn't act on thyroid?
1. Propranolol
2. Propylthiuracil
3. Sodium iodide
4. Thiocyanote

Correct answer: 1. Propranolol

Explanation: Ans. is 'a' i.e., Propranolol